ln 'V'-Exotropia amount of deviation
1. Decreases in upward gaze and increases in downward gaze
2. Decreases in upward as well as downward gaze
3. Increases in upward as well as downward gaze
4. Increases in upward gaze and decreases in downward gaze

Correct answer: 4. Increases in upward gaze and decreases in downward gaze

Explanation: A' AND 'V' PATTERN HETEROTROPIA The terms 'A' or 'V' pattern squint are labelled when the amount of deviation in squinting eye varies by more than 10deg and 15deg, respectively, between upward and downward gaze. 'A' and 'V' esotropia. In 'A' esotropia the amount of deviation increases in upward gaze and decreases in downward gaze. The reverse occurs in 'V' esotropia. 'A' and 'V' exotropia. In 'A' exotropia the amount of deviation decreases in upward gaze and increases in downward gaze. The reverse occurs in 'V' exotropia. Ref:- A K KHURANA; pg num:-334